Which of the following test is useful in diagnosis of congenital dislocation of hip ?
1. Barlow's test
2. Thomas test
3. Hibb's test
4. Laguerres test

Correct answer: 1. Barlow's test

Explanation: Barlow's test : Clinical test in DDH Test has two parts . 1st part - surgeon faces child's perineum .He grasps the upper part of each thigh , with his fingers behind on the greater trochanter and thumb in front.The child's knee are fully flexed and hips flexed to a right angle .The hip is now gently adducted ,gentle pressure is exerted by examining hand in a proximal direction while the thumb tries to 'push out' the hip .As femoral head rolls over the posterior lip of acetabulum ,it may ,if dislocatable slip out of acetabulum .one feels an abnormal posterior movement , appreciated by the fingers behind greater trochanter .thereay be a distinct 'clunk' *nothing happens-hip normal or may be already dislocated 2nd part - hip in 90 degree flexion and fully adducted ,thighs are gently abducted . The examiner's hand tries to pullbthe hip while the fingers on greater trochanter exert pressure in forward direction , as one tries to put back a dislocated hip.If nothing happen - normal hip or is an irreducible dislocation .It is done in infants . *Thomas test is for hip flexion deformity REF:Essential orthopedics, Maheshwari ,5th edition, pg no.220